Scrambled egg appearance is seen in -
1. Carcinoma stomach
2. Carcinoma galll bladder
3. Pancreatic carcinoma
4. Renal carcinoma

Correct answer: 3. Pancreatic carcinoma

Explanation: Ans. is 'c' i.e., Pancreatic carcinoma